Which of the following condition is not associated with osteoporosis?
1. Immobilization
2. Thyrotoxicosis
3. Turner's syndrome
4. Hypoparathyroidism

Correct answer: 4. Hypoparathyroidism

Explanation: Osteoporosis is associated with hyperparathyroidism. In hyperparathyroidism, excess parathyroid hormone in the blood stimulates extraction of calcium from bone to blood stream resulting in osteoporosis.